Maximum absorption of NaC1 in proximal convoluted tubule occurs due to the effect of:
1. ADH
2. Aldosterone
3. Atrial natriuretic peptide
4. Angiotensin II

Correct answer: 4. Angiotensin II

Explanation: Ans. D: Angiotensin II Angiotensin II acts at the PCT,Thick ascending loop of Henle/distal tubule, collecting tubule and leads to increased absorption of NaC1 and water and increased H+ secretion. ADH, Aldosterone and ANP acts at the collecting tubule and duct